Treatment of Chlamydia pneumonia is
1. Erythromycin
2. Ceftriaxone
3. Penicillin
4. Sulphonamide

Correct answer: 1. Erythromycin

Explanation: Although few controlled trials of treatment have been reported, C. pneumoniae is inhibited in vitro by erythromycin, tetracycline, azithromycin, clarithromycin, gatifloxacin, and gemifloxacin. Recommended therapy consists of 2 g/d of either tetracycline or erythromycin for 10-14 days.. Ref Harrison 19th edition pg 1147